Not true regarding treatment of bacterial corneal ulcer:
1. Fortified Antibiotic eye drops
2. Cycloplegic & Mydriatic to relieve pain
3. Cyanoacrylate glue is also indicated in treatment of small perforation.
4. Steroids are given usually in persistent epithelial defects

Correct answer: 4. Steroids are given usually in persistent epithelial defects

Explanation: Steroids should not be used in persistent epithelial defects Treatment Bacterial corneal ulcer Fortified Antibiotic eye drops Cycloplegic & Mydriatic to relieve pain and give rest to ciliary body. Cyanoacrylate glue is also indicated in treatment of small perforation. In case of rise of intra-ocular pressure aqueous suppressant are used to reduce IOP. In case of Leucomatous corneal opacity, penetrating keratoplasty may be needed.